Enzyme appearing last in MI is -
1. CPI
2. LDH
3. SGOT
4. SGPT

Correct answer: 2. LDH

Explanation: VARIOUS ENZYMES IN MYOCARDIAL INFARCTION